Preformed toxin is important in food poisoning due to all, EXCEPT:
1. Staph aureus
2. Clostridium botulism
3. ETEC
4. B.cereus

Correct answer: 3. ETEC

Explanation: Food poisoning is of three types: INFECTIVE TYPE: In this type, multiplication of bacteria occurs in vivo when infective doses of microorganisms are ingested with food. Incubation period is generally 8 to 24 hours. The typical example of this type of food poisoning is by Salmonella typhimurium, S. Enteritidis, S. Heidelberg, S. Indiana, S. Newport, S. Dublin, Vibrio parahaemolyticus, Campylobacter jejuni. TOXIC TYPE: The disease follows ingestion of food with preformed toxin. Incubation period is short (2 to 6 hours). Eg: Staphylococcus aureus, Bacillus cereus, Clostridium botulinum. INFECTIVE-TOXIC TYPE: In this type, bacteria release the toxin in the bowel. The incubation period is 6 to 12 hours. Eg: Clostridium perfringens ETEC produce a heat-stable enterotoxin (ST) or a heat labile (LT) Cholera toxin, like enterotoxin or both. Toxin production alone may not lead to illness. The organism must initially be able to adhere to the mucosal surface of the epithelial cells of the small intestine. This adhesion is usually mediated by fimbriae that bind to specific receptors in the intestinal cell membrane. These adhesions are called colonization factor antigens (CFAs). Ref: Textbook of Microbiology by Surinder Kumar; Page-701